All of the following are derived from glycerol 3 phosphate, EXCEPT:
1. Phosphatidylcholine
2. Phosphatidylethanolamine
3. phosphatidylinosito
4. None of the above

Correct answer: 4. None of the above

Explanation: Important substances such as triacylglycerols, phosphatidylcholine, phosphatidylethanolamine, phosphatidylinositol, and cardiolipin, a constituent of mitochondrial membranes, are formed from glycerol-3-phosphate. Ref: Harper 28th edition, Chapter 24.